Which of the following parastie passes through three hosts -
1. Fasciola hepatica
2. Fasciola buski
3. Schistosoma haematobium
4. Clonorchis sinensis

Correct answer: 4. Clonorchis sinensis

Explanation: Ans. is 'd' i.e., Clonorchis sinensis Parasites with a complex life cycle with three hosts Parasite Definitive fi Host H De First Inter- mediate host Second inter- mediate host Cestodes Diphyllobothrium Human beings, animals Cyclops Fish Trematodes Opisthorchis sinensis Human beings, animals Snails Fish Paragonimus westermani Human beings Snails Crabs, Crayfish